Criminal negligence is punishable under Section 304A for a maximum of:
1. 1 year
2. 2 year
3. 3 year
4. 5 year

Correct answer: 2. 2 year

Explanation: B i.e. 2years